All are seen in asthma except -
1. Cyanosis
2. Wheezing
3. Clubbing
4. Dysnea

Correct answer: 3. Clubbing

Explanation: Ans. is `c' i.e., Clubbing "Clubbing offingers is unusual in uncomplicated cases".